Schizophrenia with late onset and good prognosis:
1. Simple schizophrenia
2. Hebephrenic schizophrenia
3. Catatonic schizophrenia
4. Paranoid schizophrenia

Correct answer: 4. Paranoid schizophrenia

Explanation: Paranoid schizophrenia It is the most common type of schizophrenia , having late onset and good prognosis. Age of onset: late 3rd and early 4th decade Onset:insidious characterized mainly by presence of delusion of persecution, reference, grandeur, frequent auditory hallucinations etc -Best prognosis : Catatonic schizophrenia - Worst prognosis: Simple schizophrenia - In DSM-5 and proposed ICD-11, all the subtypes (paranoid, catatonic etc.) have been removed from the classification.